Most commonly damaged nerve in the lower limb:-
1. Femoral
2. Sciatic
3. Common peroneal
4. Tibial

Correct answer: 3. Common peroneal

Explanation: Common peroneal nerve is more superficial and lateral to neck of fibula in lower limb, hence more susceptible to injury. Injury manifestation: Compromise of superficial peroneal nerve and Deep peroneal nerve. Sensory symptoms: loss of sensation on territory of common peroneal nerve and superficial peroneal nerve which supplies most of lateral aspect of leg and dorsum of foot, Motor symptoms: foot drop and loss of foot eversion.